Filariform larva is infective in -
1. Enterobius vermicularis
2. Ascaris lumbricoides
3. Necator americanus
4. Trichuris trichura

Correct answer: 3. Necator americanus

Explanation: Smaller and more slender Spine absent Less pathogenic (refer pgno:147 baveja 3 rd edition)